A characteristic radiological feature of fibrous dysplasia -
1. Thickened bone matrix
2. Cortical erosion
3. Ground glass appearance
4. Bone enlargement

Correct answer: 3. Ground glass appearance

Explanation: In long bones, the fibrous dysplastic lesions are typically well-defined, radiolucent areas with thin cortices and, a ground-glass appearance. The articular ends are usually spared.